Which of the following inhalation anaesthetics should be avoided in middle ear surgery
1. Halothane
2. Nitrous oxide
3. Ether
4. Isoflurane

Correct answer: 2. Nitrous oxide

Explanation: Nitrous oxide